Characterisic microscopic features of Osteogenic sarcoma is
1. Osteoid formation
2. Osteoid formation by Mesenchymal cells with pleomorphism
3. Codmans triangle
4. Predominant osteoclast

Correct answer: 2. Osteoid formation by Mesenchymal cells with pleomorphism

Explanation: Osteoid formation by Mesenchymal cells with large Pleomorphism Ref :Robbins 8th/1226